To monitor fetal heart rate in a normal delivery partogram, it should be repeated every:
1. 30 min
2. 1 hour
3. 2 hour
4. 90 minutes

Correct answer: 1. 30 min

Explanation: Ans. (a) 30 minRef. William's 23rd ed. Chapter 17, Normal Labor and Delivery; Preadmission and Admission Electronic Fetal Heart Rate Monitoring* American Academy of Pediatrics and American College of Obstetricians and Gynecologists (2007) recommend that during the first stage of labor, in the absence of any abnormalities, the fetal heart rate should be checked immediately after a contraction at least every 30 minutes and then every 15 minutes during the second stage.* If continuous electronic monitoring is used, the tracing is evaluated at least every 30 minutes during the first stage and at least every 15 minutes during second-stage labor.* For women with pregnancies at risk, fetal heart auscultation is performed at least every 15 minutes during the first stage of labor and every 5 minutes during the second stage.* Given the above options, every 30 minutes monitoring is the best choice.